Warthin's tumor is found in
1. Salivary gland
2. Thyroid gland
3. Brunner's gland
4. Adrenal gland

Correct answer: 1. Salivary gland

Explanation: It is a benign tumour that occurs only in parotid ,usually in the lower pole. SRB,25th,415